Which is excreted typically in lead poisoning:
1. Urobilinogen
2. Coproporphyrin
3. Bilirubin
4. Bile salts

Correct answer: 2. Coproporphyrin

Explanation: B i.e. Coproporphyrin